All are true for maxillary fracture except:
1. Geriatric maxillary fracture is difficult to treat
2. Pediatric  maxillary fracture is more comminuted
3. Midpalatal fracture has 8% incidence
4. All 4 buttresses are seldom fracture

Correct answer: 2. Pediatric  maxillary fracture is more comminuted